Systemic de-sensitization therapy is used for
1. Phobia
2. Depression/Mania
3. Schizophrenia
4. Organic brain syndrome

Correct answer: 1. Phobia

Explanation: A i.e. Phobias